Blood-testis barrier is formed by -
1. Sertoli cells
2. Leydig cells
3. Epididymis
4. Vas deferens

Correct answer: 1. Sertoli cells

Explanation: Ans. is 'a' i.e., Sertoli cells o Blood brain barrier - Tight junction between endothelial cells and some reinforcement by foot process of astrocytes.o Blood CSF barrier -Tight juction between endothelial cells plus tight junction between choroidal epithelial cells.o Blood testis barrier - Tight junction betw-een endothelial cells plus sertoli cells.